Monoclonal antibody used for Muckle-Wells syndrome is
1. Canakinumab
2. Catumaxomab
3. Certolizumab
4. Cetuximab

Correct answer: 1. Canakinumab

Explanation: Canakinumab: Against IL-1b Used in Muckle-Wells syndrome Muckle-Wells syndrome =Sensorineural deafness =Recurrent hives =Amyloidosis Catumaxomab Bispecific mAb Used in Malignant ascites Certolizumab: Again stTNF Used in Crohn disease Cetuximab Against EGFR Used in Colorectal cancer